An elderly patient presents with hypertension and diabetes, proteinuria without renal failure. Antihypertensive of choice is:
1. Furosemide
2. Methyldopa
3. Enalapril
4. Propranolol

Correct answer: 3. Enalapril

Explanation: Answer is C (Enalapril) ACE inhibitors (Enalapril) are the agents of choice for treatment of hypertension in diabetic patients with proteinuria. Indication Treatment of choice Hypertensive patient with protenuriae ACE inhibitors or Angiolensin Blocker Hypertensive patient with Diabetese ACE inhibitors or Angiotensin Blocker Hypertensive patient with diabetic NephropathvQ - ACE inhibitor or Angiotensin Blocker